Vagina develops from:
1. Mesonephric duct
2. Genital tubercle
3. Urogenital sinus
4. None of the above

Correct answer: 3. Urogenital sinus

Explanation: Ans. a) Urogenital sinus Ref Novak's 14th ed Pg 100Vagina forms in the 3rd month of embryonic life.Superior part of vagina from - paramesonephric ductInferior part of vagina from - sinovaginal bulb on the posterior wall of urogenital sinus.Sex is not apparent until about 12th week of embryonic life.